Mandibular complete denture should cover retromolar pad because
1. More surface area gives better retention
2. Provides border seal
3. Resists movement of denture base
4. All of the above

Correct answer: 4. All of the above